In which of the following condition does an ultrasonography shows a Snow storm appearance?
1. Tubal pregnancy
2. Abdominal pregnancy
3. Hydatidiform mole
4. Fibroid

Correct answer: 3. Hydatidiform mole

Explanation: Classic sonographic appearance of a complete mole: "Snowstorm" or "granular" appearance Central heterogenous mass with numerous anechoic (cystic) spaces Low resistance arterial and venous flow Absence of embryo or fetus When sonographic appearance and hCG levels are suspicious for hydatidiform mole, the diagnosis should be confirmed by histology.